Neutropenia is associated with :
1. Nafcillin
2. Methicillin
3. Carbenicillin
4. Ampicillin

Correct answer: 1. Nafcillin